Following are fibrous joints :
1. Pubic symphysis
2. Fronto parietal suture
3. Manubrio sternal joint
4. Inf. radio ulnar joint

Correct answer: 2. Fronto parietal suture

Explanation: B. i.e. Frontoparietal sutureSkull sutures (except sphen-occipital), vomer- sphenoid rostrum schindylesisQ, inferior tibiofibular syndesmosis and dentoalveolar gomphosis (tooth socket) joints are fibrous joints. A Schindylesis is a specialized suture where a rigid bone fits into a groove on a neighbouring element eg a cleft between the alae of vomer, which receives the rostrum of the sphenoid. (i.e. vomer - sphenoidal rostrum junction)Q- Epiphyseo-diaphyseal growth plateQ, costochondral, 1st chondrosternal and sphenoocipital joints are synchondrosis/ syncendrosis or primary cartilaginous joints; whereas, symphysis pubis, symphysis menti, sacrococcygeal, intervertebral and manubriosternal jointsQ are symphyses or secondary cartilaginous joints.Articular cartilage of most (not all) synovial joints are lined by hyaline cartilage Q. In some synovial joints the cavity is partially or completely subdivided into two by an articular disc, made up of fibrocartilage eg. Temporomadibular jt, sternoclavicular jt, menisci of knee joint. More mobile the joint the more commonly it discloates eg shoulder jtQ. MCP Jt. is a condylar - synovial joint